A 35 years old lady presents with post coital bleeding and foul smelling discharge. The most important investigation to arrive at a diagnosis :
1. Endometrial aspiration
2. Dilatation and curettage
3. Endometrial biopsy
4. Cervical biopsy

Correct answer: 4. Cervical biopsy

Explanation: Cervical biopsy